The principal disadvantage of metal denture base is
1. increase in weight
2. acrylic resin does not providing bonding
3. injure the soft tissues
4. it is difficult to reline

Correct answer: 4. it is difficult to reline